The definitive host for Tenia solium is
1. Pig
2. Man
3. Cattle
4. Dog

Correct answer: 2. Man

Explanation: (B) Man # Life cycle of Tenia solium:> Poorly cooked meat is ingested by humans who are the only definitive hosts.> The poorly cooked meat includes tapeworm larval cyst (cysticercus) which then release larvae.> These attach to the small intestine by the scolex suckers.> The worm then matures over 3-4 months during which the proglottids develop.> The worm can survive for up to 25 years in humans during which time the gravid proglottids are released into the faeces.> The excreted eggs which are excreted in the faeces can survive on vegetation where they are then consumed by cattle or pigs. Once in these animals the eggs hatch & cysticerci are released> These pass into the animal circulation from the small intestine and reside in the muscle.> Humans are then infected by eating raw meat containing the cysticerci.